Acute graft rejection occurs within?
1. Few minutes
2. Few hours
3. < 6 months
4. 6-12 months

Correct answer: 3. < 6 months

Explanation: Hyperacute rejection: type 2 HSR, happens over span of few minutes to hours. Eg: kidney transplant Acute rejection: Few weeks to months(< 6 months) Chronic rejection: After 6 months. Graft vs host disease (Runt Disease): Acute GVH: < 100 days Chronic GVH: > 100 days